Macerated foetus indicates -
1. Dead born
2. Still born
3. Live born
4. IUGR

Correct answer: 1. Dead born

Explanation: Maceration of fetus is a sign of dead born.